MEN syndrome is associated with increase in -
1. Papillary ca of thyroid
2. Medullary
3. Follicular
4. Anaplastic

Correct answer: 2. Medullary

Explanation: Medullary thyroid carcinoma is associated with MEN syndrome → MEN 2A and MEN 2B.